Framingham Heart Study is an example of :
1. Case control study
2. Cohort study
3. Cross-sectional study
4. Interventional study

Correct answer: 2. Cohort study

Explanation: FRAMINGHAM HEART STUDY:

Is a classical example of cohort study
Initiated in 1948 by US Public Health Service at Framingham, a town in Massachusetts, USA

Aim: To study the relationship of risk factors (serum cholesterol, blood pressure, weight,smoking) to the subsequent development of cardiovascular diseases.